A Young boy presents with multiple flaccid bullous lesions over trunk with some oral mucosal lesions. Most likely finding on immunofluorescence study of the biopsy specimen would be
1. 'Fishnet' IgG deposits in epidermis
2. Linear IgG in Deposits
3. Linear IgA in dermal papillae
4. Granular IgA in reticular dermis

Correct answer: 1. 'Fishnet' IgG deposits in epidermis